A 33 years old patient with history of asthma is being treated for symptoms of hypertension. Which of the following beta blocker would be an appropriate therapy for this patient:
1. Isoprenaline
2. Labetalol
3. Metoprolol
4. Propranolol

Correct answer: 3. Metoprolol